All of the following are TRUE about isometric exercises, EXCEPT:
1. S3,S4 is accentuated
2. Useful in ventricular arrhythmia
3. Increases systemic vascular resistance
4. Diastolic murmur of Mitral stenosis becomes louder

Correct answer: 2. Useful in ventricular arrhythmia

Explanation: Isometric exercise results in transient but sigificant increase in systemic vascular resistance, arterial pressure, heart rate, cardiac output, left ventricular filling pessure and heart size. Patients wit ventricular arrhythmia or myocardial infarction should avoid this as tey can increase their intensity. Isometric exercises can cause, S3,S4 is accentuated Diastolic murmur of Mitral stenosis becomes louder Diastolic murmur of aortic regurgitation,systolic murmur of mitral regurgitation and ventricular septal defect increases. Systolic murmur of aortic stenosis and systolic murmur of hypertrophic obstructive cardiomyopathy diminishes. Ref: Primary Cardiology, edited by Eugene Braunwald, 2nd Edition, Page 157.